Which of the following is a myofunctional appliance?
1. Catalan's appliance
2. Hawley's appliance
3. Expansion screw
4. Derichsweiler appliance.

Correct answer: 1. Catalan's appliance

Explanation: Catalans or lower anterior inclined plane appliance is used to treat cross bites. The inclined plane has a 450 angulation, which forces the maxillary teeth in cross bite to a more labial position. It is teeth supported functional appliance. Expansion screw and Derichsweiler are expansion appliances.